Insulin secretion is inhibited by:
1. Secretin
2. Epinephrine
3. Growth hormone
4. Gastrin

Correct answer: 2. Epinephrine

Explanation: Insulin secretion is inhibited by both epinephrine and norepinephrine. Ref: Review of Medical Physiology By Willaim Ganong, 22nd Edition, Page 345.